A structural component that is found in all viruses is:
1. The envelope
2. DNA
3. Capsid
4. Tail fibers

Correct answer: 3. Capsid

Explanation: c (Capsid)